The key factor in the transport of carbon dioxide as bicarbonate is -
1. The high solubility of CO2  in H2O
2. The presence of Hb in blood
3. The presence of carbonic anhydrase in the erythrocytes
4. The acid nature of carbon dioxide and the alkaline nature of bicarbonate

Correct answer: 3. The presence of carbonic anhydrase in the erythrocytes